Census population count is in reference to
1. 1st March
2. 1st July
3. 30th June
4. 1st January

Correct answer: 1. 1st March

Explanation: Census stop (census movement) : 00. 00 hours 01 March 2011 (The referral time and date at which snapshot of population is taken) Ref: National health programs of India by Dr. J. Kishore, 7th edition Pgno : 572,662